Epidemics after disaster are caused by all except?
1. Leptospirosis
2. Rickettsiosis
3. Leishmaniasis
4. Acute respiratory infection

Correct answer: 3. Leishmaniasis

Explanation: Ans. is `c' i.e., Leishmaniasis Disease common in Post-disaster Phase o Gastroenteritis (MC) o Acute respiratory tract infections (Pneumonia) o Leptospirosis Rickettsiosis Rabies Equine encephalitis